Most common pre cancerous lesion is:
1. Leukoplakia.
2. Erythroplakia.
3. Nicotinic stomatitis.
4. OSMF.

Correct answer: 1. Leukoplakia.